Which of the following is true about roseola infantum -
1. Defervescene follows the rash
2. Caused by HHV 6 and 7
3. Slapped check appearance is seen
4. Otitis media is common complication

Correct answer: 2. Caused by HHV 6 and 7

Explanation: Ans. is 'b' i.e., Caused by HHV 6 & 7